All are benefits of laryngeal mask airway except:-
1. Easy and fast to insert
2. Less hemodynamic imbalance
3. Lesser plane of anaesthesia to tolerate
4. Prevents aspirations

Correct answer: 4. Prevents aspirations

Explanation: Laryngeal Mask Airway LMA is asupraglottic airway devicewhich sits in the hypopharynx and partially protects thelarynx from pharyngeal secretions, but not gastric regurgitation. Advantages Disadvantages Easy and rapid Less invasive Better hemodynamic stability Very useful in difficult intubations Less complications requires lesser plane of Anaesthesia Does not require neck mobility Increased risk of gastrointestinal aspiration Less safe in prone or jackknife positions Less secure airway Greater risk of gas leak and pollution Can cause gastric distention